Skin over pinna is fixed:
1. Firmly on both sides
2. Loosely on medial side
3. Loosely on lateral side
4. Loosely on both side

Correct answer: 2. Loosely on medial side

Explanation: Skin over the pinna is closely adherent to the perichondrium on the lateral surface while it is loosely attached on the medial surface.